What is the causative agent for malignant otitis externa?
1. Pseudomonas
2. Staph aureus
3. Streptococcus
4. Influenza

Correct answer: 1. Pseudomonas

Explanation: Malignant (necrotizing) otitis externa: Rapidly spreading Pseudomonas infection in immunocompromised patients. Patient presents with excruciating ear pain, profuse greenish black ear discharge & granulations on the floor of EAC. Necrosis of bone aids in spread of infection to skull base known as Lateral Skull base Osteomyelitis. This may lead to multiple cranial nerve palsies. Facial nerve is the most common nerve involved. It is an infective condition and not malignant condition. Hence, mitotic figures will be normal.